Which of the following is used for acute variceal bleeding?
1. Octreotide
2. Oxytocin
3. Somatotropin
4. Dexamethasone

Correct answer: 1. Octreotide

Explanation: Ans. A. Octreotide.The medical management of acute variceal hemorrhage includes the use of vasoconstricting agents, usually somatostatin or Octreotide. Vasopressin was used in the past but is no longer commonly used. Balloon tamponade (Sengstaken- Blakemore tube or Minnesota tube) can be used in patients who cannot get endoscopic therapy immediately or who need stabilization prior to endoscopic therapy. Control of bleeding can be achieved in the vast majority of cases; however, bleeding recurs in the majority of patients if definitive endoscopic therapy has not been instituted. Octreotide, a direct splanchnic vasoconstrictor, is given at dosages of 50-100mg/h by continuous infusion.